All statements are true about mycetoma except:
1. Eumycetoma is caused by bacteria
2. Surgery is important component of treatment
3. Usually painless
4. Diagnosis can be made by examination of lesion

Correct answer: 1. Eumycetoma is caused by bacteria

Explanation: Ans: a. Eumycetoma...Treatment of eumycetoma involves both surgical extirpation of the lesion and use of antifungal agents. Surgical removal of the lesions of eumycetoma is most effective if performed before extensive spread has occurred.Mycetoma or Madura Mycosis or Madura Foot: Mycetomas are chronic, slowly progressive infections of the subcutaneous tissue, usually of the foots & rarely of the other parts of the body like handsQ, gluteal region & thigh.Maduromycosis (also known as eumycetoma) is the term used to describe mycetoma caused by the true fungi and by phylogenetically diverse organisms.Actinomycotic mycetoma is caused by Nocardia and Actinomadura species.